Commonest sign of intrabronchial foreign body in children is -
1. Cough
2. Wheeze
3. Dyspnoea
4. Stridor

Correct answer: 1. Cough

Explanation: Ans. is 'a' i.e., Cough